A 60-year-old woman presents with generalized edema, skin ulceration and hypertension. Urine examination shows subnephrotic proteinuria (<2gm) and microscopic haematuria. Serum complement levels are decreased and she is positive for anti-hepatitis c antibodies. The likely diagnosis is -
1. PSGN
2. Essential mixed cryoglobulinemia
3. Membrano proliferative glomerulonephritis
4. Focal segmental glomerulosclerosis

Correct answer: 2. Essential mixed cryoglobulinemia